Mg++ can be administered in:
1. Eclampsia
2. Cardiac arrhythmia
3. Seizure
4. All of the above

Correct answer: 4. All of the above

Explanation: given by i.v. infusion, it has been used for long to control convulsions and to reduce BP in toxaemia of pregnancy. As per WHO, it is the drug of choice for prevention and treatment of seizures in preeclampsia and eclampsia. REF: KD TRIPATHI 8TH ED Page 333